Regarding appendicitis in children, all are true except?
1. Localized pain is single most imp reliable sign
2. Vomiting precedes abdominal pain
3. 80% cases perforation ocurs in children < 5 years
4. 60% perforation occurs in 48 hours

Correct answer: 2. Vomiting precedes abdominal pain

Explanation: In mesenteric lymphadenitis, the pain is colicky in nature and cervical lymph nodes may be enlarged.The pain is similar; however, signs may be central or left sided. Occasionally, there is a history of antecedent abdominal pain or intermittent lower gastrointestinal bleeding. Ref: Bailey & Love's Short Practice of Surgery,E25,Page-1207